Reese-Ellsworth classification is used for?
1. Rhabdomyosarcoma
2. Retinoblastoma
3. Optic nerve sheath tumor
4. Meningioma

Correct answer: 2. Retinoblastoma

Explanation: ANSWER: (B) RetinoblastomaREF: Decision Making in Radiation Oncology, Volume 2 by Jiade J. Lu page 1041Repeat from June 2008Reese-Ellsworth classification of Retinoblastoma:TypeDescriptionGroup I"Very favourable"ASolitary tumor, less than 4 dd in size, at or posterior to the equatorBMultiple tumors, none over 4 dd in size, all at or posterior to the equatorGroup II"Favourable"ASolitary tumor, 4-10 dd in size, at or posterior to the equatorBMultiple tumors, 4-10 dd in size, all posterior to the equatorGroup III"Doubtful"AAny lesion anterior to the equatorBSolitary tumors larger than 10 dd posterior to the equatorGroup IV"Unfavorable"AMultiple tumors, some larger than 10 ddBAny lesion extending to the ora serrataGroup V"Very unfavourable"AMassive tumors involving over half the retinaBVitreous seeding*dd= disc diameter (approximately 1.5 mm)